Which one of the following is true of Transient Tachypnea of Newborn (TTNB) –
1. It is the commonest respiratory disorder caused by absence of surfactant
2. In premature babies, it is often fatal
3. Onset of respiratory distress is immediately after birth and it rarely lasts beyond 48 hours
4. It often leads to chronic lung disease

Correct answer: 3. Onset of respiratory distress is immediately after birth and it rarely lasts beyond 48 hours